A female pelvis differs from male pelvis by all except-
1. Obtuse subpubic angle
2. Broad greater sciatic foramen
3. Broad lesser sciatic foramen
4. Prominent muscle marking

Correct answer: 4. Prominent muscle marking

Explanation: As a general rule, muscle markings are more prominent an male skeleton.